Which of the following biochemical reaction is associated with substrate level phosphorylation?
1. Fumarate to malate
2. Succinate to fumarate
3. Succinyl CoA to Succinate
4. Acetoacetate to a-ketoglutarate

Correct answer: 3. Succinyl CoA to Succinate

Explanation: Conversion of succinyl CoA to succinate is an example of substrate level phosphorylation in which a high energy phosphate is generated from the energy trapped in the thioester bond of succinyl CoA. Enzyme succinic thiokinase catalyses this step. In this reaction a molecule of GDP is phosphorylated into GTP and succinate is formed. GTP so formed is converted into ATP by reacting with an ADP molecule. Ref: Lippincott's Biochemistry, 2nd Edition, Page 109; Textbook of Biochemistry By D M Vasudevan, 3rd Edition, Pages 75-77, 194, 204